In an infant with aspiration pneumonitis, the most common lung segment to be involved is ?
1. Left apical
2. Right apical
3. Right middle
4. Right basal

Correct answer: 2. Right apical

Explanation: Ans. is 'b' i.e., Right apical Lobes of lung most susceptible to aspiration in supine position --> Post segment of Rt. Upper lobe (Most common), Superior segment of right lower lobe, Superior segment of left lower lobe.